Which of the following is true about symptomatic mitral valve prolapse?
1. Displacement of one or both mitral valve leaflets posteriorly into left atrium during systole
2. Migration of systolic click and systolic murmur towards S1 during squatting
3. Prophylactic beta blockers
4. Restriction of vigorous exercise to mitigate risk of sudden cardiac death

Correct answer: 1. Displacement of one or both mitral valve leaflets posteriorly into left atrium during systole

Explanation: In MVP, the mitral valve leaflets have systolic displacement of >2mm above plane of mitral annulus into left atrium. Hence choice A is correct During standing venous return reduces, leading to reduced LV volume and mid-systolic click comes closer to S1. Hence choice B is wrong. Beta blockers- used to control palpitations Sudden death is a very rare complication and occurs most often in patients with severe MR and depressed left ventricle (LV) systolic function, although it can occur in individuals with normal LV size and function.